The witness is liable to be prosecuted for perjury, and the imprisonment may extend upto seven years. This falls under which section of IPC?
1. S.190 of Indian Penal Code
2. S.191 of Indian Penal Code
3. S.192 of Indian Penal Code
4. S.193 of Indian Penal code

Correct answer: 4. S.193 of Indian Penal code

Explanation: The witness is liable to be prosecuted for perjury, and the imprisonment may extend upto seven years falls under S.193 of I.P.C. Ref: The Essentials of Forensic Medicine & Toxicology Dr.K.S.Naraya Reddy, 29th Edition, Page 12